During starvation, brain utilizes -
1. Glycogen
2. Fattey acids
3. Ketone bodies
4. None

Correct answer: 3. Ketone bodies

Explanation: Ans. is 'c' i.e.. Ketone bodies o There is no stored fuel in brainQ, but it utilized 60% of total energy under resting conditionsQ,o Glucose is virtually the sole fuel for the brainQ, except in prolonged starving when ketone bodies are the major sourceQ.o Fatty acids do not serve as fuel for the brain, because they are bound to albumin in plasma; hence cannotcross blood-brain barrier.ORGANFEDFASTINGSTARVATIONBrainGlucoseGlucoseKetone bodiesHeartFatty acidsFatty acidsKetone bodiesLiverGlucoseFatty acidsAmino acidsMusclesGlucoseFatty acidsFatty acids & ketone bodiesAdipose tissueGlucoseFatty acidsFatty acids & ketone bodiesRBCsGlucoseGlucose